Xylitol is a low caloric sweetener inhibits the growth of
1. S.mutans
2. S.pyogens
3. Lactobacillus
4. Actinomycosis

Correct answer: 1. S.mutans